A 62-year-old man develops abdominal pain after eating. An arteriogram reveals absence of blood flow in the celiac artery. Collateral branches supply the stomach through which of the following?
1. Intercostal arteries
2. Right renal artery
3. Superior mesenteric artery
4. Inferior epigastric artery

Correct answer: 3. Superior mesenteric artery

Explanation: The superior mesenteric artery will supply the inferior pancreaticoduodenal branch, which will form collateral branches with the superior pancreaticoduodenal branch from the celiac axis branch (gastroduodenal).